The visualization of the angle of anterior chamber by:
1. Direct ophthalmoscopy
2. Indirect ophthalmoscopy
3. Gonioscopy
4. Perimetery

Correct answer: 3. Gonioscopy

Explanation: (Gonioscopy) (546-Khurana 4rd)GONIOSCOPY - The angle between the posterior corneal surface and the anterior surface of the iris constitute the angle of the anterior chamber the configuration of which is relevant to the pathogenesis of glaucoma contact between peripheral iris and cornea signifies, a closed angle, which precludes aqueous access to the trabecular meshwork. While wide separation between the two signifies in or beyond the trabecular meshwork. Gonioscopy involves the examination and analysis of angle.1. Diagnostic - Gonioscopy facilitates the identification of abnormal angle structure and estimation of the width of the chamber angle particularly important in the management of eyes with narrow angles.2. Surgical - gonioscopy involves visualization of the angle during procedures such as laser trabeculoplasty and goniotomy.Perimetry - estimating extent of the visual fields.Direct ophthalmoscopyIndirect ophthalmoscopy* Most commonly practiced method for routine fundus examination* Image is erect, virtual and 15 times magnified in emmetropes* Popular method for examination of the posterior segment* Image is real, inverted, 4-5 times magnified.